Endometrial hyperplasia is caused by :
1. Oestrogen
2. Smoking
3. Ovulation inducing drugs
4. Asherman's syndrome

Correct answer: 1. Oestrogen

Explanation: Oestrogen